Nakayama strain is used in vaccination of
1. Yellow fever
2. Japanese Encephalitis
3. Kyasanur Forest Disease
4. Ebola Fever

Correct answer: 2. Japanese Encephalitis

Explanation: Control of Japanese encephalitis:Vaccination: Population at risk has been recommendedThree types of JE vaccines in large-scale use arethe mouse-brain derived, purified and inactivated vaccine which is based on either the Nakayama or Beijing strains of JE virusthe cell culture-derived inactivated JE vaccine based on Bejing P-3 strain andthe cell culture-derived live attenuated vaccine based on the SA 14-14-2 strain of the JE virusVector control: Effective way to deal with them is to resort to arterial or ground fogging with ultra-low-volume insecticides Ref: Park; 23rd ed; pg no: 286